Rule of Hasse is used to determine?
1. The age of fetus
2. Height of an adult
3. Race of a person
4. Identification

Correct answer: 1. The age of fetus

Explanation: (A) The age of fetus # HASSE'S RULE is employed to calculate the age of the foetus on the basis of the length according to months of gestation and calculating the age of fetus from its length.> During the first five months of pregnancy, the length in cms is square of the age in months i.e. Rule of Hasse.